Difference in hearing between the two ears required for lateralization of Weber test is:
1. 4 dB
2. 5 dB
3. 8 dB
4. 10 dB

Correct answer: 2. 5 dB

Explanation: The Weber tuning fork test may be performed with a 256- or 512-Hz fork. The stem of a vibrating tuning fork is placed on the head in the midline, and the patient is asked whether the tone is heard in both ears or in one ear better than in the other. With a unilateral conductive hearing loss, the tone is perceived in the affected ear. With a unilateral sensorineural hearing loss, the tone is perceived in the unaffected ear. As a general rule, a 5-dB difference in hearing between the two ears is required for lateralization.